A person presents with hemorrhagic fluid in tense blister at dermoepidermal junction. Most probable diagnosis is?
1. Pemphigoid
2. Pemphigus vulgaris
3. Pemphigus vegetans
4. Drug induced pemphigus

Correct answer: 1. Pemphigoid

Explanation: ANSWER: (A) PemphigoidREF: Rooks dermatology 7th ed p. 41.3-41.19Intraepidermal BullaBlister at Dertnoepidermal JunctionGranular layerJunctionalPemphigus foliaceousJunctional EBSubcorneal pustular dermatosisBullous pemphigoidStaphylococcal scalded skin syndrome Bullous pemphigoidDermolyticSpinous layerEpidermoiytic bullosa dystrophicansFamilial benign pemphigusEpidermolytic bullosa aquisticaSuprabasalDermatitis herpetiformisPemphigus vulgarisDarier s diseaseBasal layerErythema multiformeLupus erythematosusLichen planusEBSPemphigus vegetans is a localized form of pemphigus vulgarisThe most common variant of pemphigus associated with drug exposure is pemphigus foliaceus, although pemphigus vulgaris has also been described